Which of the following is not a usual feature of Ascariasis -
1. Abdominal pain
2. Urticaria
3. Anaemia
4. Loefflers syndrome

Correct answer: 3. Anaemia

Explanation: Ans. is 'c' i.e., Anemia Ascariasis o Infections usually remain asymptomatic. o There may be pain, weight loss, diarrea, vomiting, and Anorexia. o Loeffer's syndrome is caused by pulmonary ascariasis --> Fever, cough, dysnea, wheeze, urticaria and eosinophilia.